Gestation period consists of the following EXCEPT
1. Germinal period
2. Embryonic period
3. Fertilization period
4. Foetal period

Correct answer: 3. Fertilization period